The intrinsic factor of the castle is secreted by which of the following cells in gastric glands
1. Chief cells
2. Parietal cells
3. Enterochromaffin cells
4. B cells

Correct answer: 2. Parietal cells

Explanation: Secretions of stomach
-        HCl- Parietal cells/ Oxyntic cells
-        The intrinsic factor of Castle- Parietal cells/ Oxyntic cells
-        Pepsinogen- Chief cells/ Peptic cells
-        Gastrin- G cells
-        Somatostatin- D cells
-        Histamine- ECL cells